Good prognosis in ALL is associated with all except?
1. Child below 1 year
2. Low counts in initial phase
3. Hyperdiploidy
4. 12-21 translocation

Correct answer: 1. Child below 1 year

Explanation: Ans. is 'a' i.e., Child below 1 year Good Prognostic factors for children with ALL Age at diagnosis: Children between the ages of 1 and 9 with B-cell ALL tend to have better cure rates. o Low Initial white blood cell (WBC) count: Subtype of ALL: Children with pre-B, common, or early pre-B-cell ALL generally do better than those with mature B-cell (Burkitt) leukemia. Gender: Girls with ALL may have a slightly higher chance of being cured than boys. Number of chromosomes: Patients are more likely to be cured if their leukemia cells have more than 50 chromosomes (called hyperdiploidy Chromosome translocations: Children whose leukemia cells have a translocation between chromosomes 12 and 21 are more likely to be cured. Those with a translocation between chromosomes 9 and 22 (the Philadelphia chromosome), 1 and 19, or 4 and 11 tend to have a less favorable prognosis. Response to treatment: Children whose leukemia responds completely within 1 to 2 weeks of chemotherapy have a better outlook